Blood culture is indicated in all, except
1. Enteric fever
2. Sub acute bacterial endocarditis
3. Septicemia
4. Malaria

Correct answer: 4. Malaria